True statement regarding Pseudocyst of pinna is
1. Also called as idiopathic cystic chondromalacia
2. Presents as painless, spontaneous dome shaped cystic swelling on the anterior surface of auricle
3. Common on right side compared to left
4. All of above

Correct answer: 4. All of above

Explanation: A pseudocyst is a noninflammatory, asymptomatic swelling on the lateral or anterior surface of the pinna, usually in the scaphoid or triangular fossa. They range from 1-5 cm in diameter and contain clear or yellowish viscous fluid, with a consistency similar to that of olive oil Ref :